A 65 -year-old man with metastatic lung cancer sees his physician because of progressive dysarthria. On examination, his tongue deviates to left when he protrudes it. Which of the following structures is most likely to be damaged, assuming this is a lower motor neuron lesion?
1. Left Hypoglossal nerve
2. Right Hypoglossal nerve
3. Left Facial nerve
4. Right Facial nerve

Correct answer: 1. Left Hypoglossal nerve

Explanation: Whenever there is LMN lesion of 12th nerve, tongue deviates always on the same side i.e ipsilateral manifestation Medial Medullary syndrome there is ipsilateral deviation of tongue d/t same side lesion of Hypoglossal nerve